Patient presenting with marked loin pain, tenderness and pyrexia shows nonspecific findings on IVP but on US reveals a heterogeneous mass with posterior acoustic enhancement and central necrosis and internal debris. CT shows marginal enhancement with air densities within. The likely diagnosis is:
1. Emphysematous pyelonephritis
2. Pyonephrosis
3. Renal abscess
4. Acute pyelonephritis

Correct answer: 3. Renal abscess

Explanation: Renal abscess Presence of air, rim enhancement on CT and posterio acoustic enhancement in a focal mass with acute clinical history is suggestive of an abscess.